All of the following vitamins play a key role in the Citric acid cycle except
1. Thiamin
2. Riboflavin
3. Niacin
4. Cobalamin

Correct answer: 4. Cobalamin

Explanation: VITAMINS PLAY KEY ROLES IN THE CITRIC ACID CYCLE Four of the B vitamins are essential in the citric acid cycle and hence energy-yielding metabolism: Riboflavin, in the form of flavin adenine dinucleotide (FAD), a cofactor for succinate dehydrogenase. Niacin, in the form of nicotinamide adenine dinucleotide (NAD+), the electron acceptor for isocitrate dehydrogenase, a-ketoglutarate dehydrogenase, and malate dehydrogenase. Thiamin (vitamin B1), as thiamin diphosphate, the coenzyme for decarboxylation in the a-ketoglutarate dehydrogenase reaction, and Pantothenic acid, as part of coenzyme A, the cofactor esterified to "active" carboxylic acid residues: acetyl-CoA and succinyl-CoA. Reference: Harper; 30th edition; Page no: 164